The most sensitive test for the diagnosis of herpes simplex (HSV) meningitis in a newborn infant is
1. HSV IgG antibody
2. HSV polymerase chain reaction (PCR)
3. HSV culture
4. Tzanck smear

Correct answer: 2. HSV polymerase chain reaction (PCR)

Explanation: HSV meningitis or encephalitis is difficult to diagnose by laboratory tests as there is a low titer of virus present in the CSF. Neonatal HSV infects the child during the birth process. While culture, Tzanck smear, and even antibody tests may be useful in adults, particularly those with HSV-rich lesions, they are not useful for CSF testing. Only PCR is sensitive enough to detect HSV DNA in the CSF. Once diagnosed rapidly, HSV encephalitis or meningitis can be treated with acyclovir.